Most common cause of genital Herpes -
1. HSV-1
2. HSV-2
3. HSV-3 (VZV)
4. HSV-4 (EBV)

Correct answer: 2. HSV-2

Explanation: Ans. is 'b' i.e., HSV-2 o Both HSV-1 and 2 can cause genital and oral - facial infection but reactivation at oral - facial site is more common with HSV-1 and at genital site with HSV-2HERPES SIMPLEX VIRUS (HSV)HSV Type 1HSV Type 2o Cause lesion in and around mouthCause lesion around genital areao Transmitted by direct contact or droplet spreadUsually transmitted sexuallyo Replicate poorly in chick embryo fibroblast cellReplicate wello Relatively sensitive to antiviral agentsResistanto Less neurovirulentMore neurovirulento Infectivity is less temperature sensitiveMore temperature sensitiveo Site of latency-trigeminal gangliaSacral gangliao On chick embryo CAM. form smaller pockForm larger pock